All are features of hepatocellular carcinoma, except-
1. Not common in Asian
2. Liver biopsy is diagnostic
3. Raised titre of HBV and HCV antibodies
4. Fibrolameller type is having good prognosis

Correct answer: 1. Not common in Asian

Explanation: Ans. (a) Not common in Asian(Ref: Robbins 9th/pg 871-873; 8th/pg 879-880; Teo EK, Fock KM. Hepatocellular carcinoma: an Asian perspective. Dig Dis. 2001; 19(4):263-8)Hepatocellular carcinoma is one of the most frequently occurring malignancies in Asia.The incidence exceeds 30 cases/100,000/year in the east Asian region.The high incidence in Asia is due to the high prevalence of chronic viral hepatitis, mainly chronic hepatitis B.